Regular drinking of which of the following can help prevent Urinary Tract infection (UTI)
1. Grape juice
2. Orange juice
3. Cranberry juice
4. Raspberry juice

Correct answer: 3. Cranberry juice

Explanation: Cranberry juice Mechanism of prevention of UTI: Proanthocyanidis in cranberry juice prevent bacterial fimbriae from attaching to wall of Urinary Bladder and urinary tract Ref: How cranberry juice can prevent Urinary tract Infections, Science daily, July 21,2008)